The commonest mode of inheritance of Von Willebrand's diasease -
1. Codominant
2. Autosomal recessive
3. Autosomal dominant
4. X linked recessive

Correct answer: 3. Autosomal dominant

Explanation: Ans. is 'c' i.e., Autosomal dominant Von willebrand disease is of following types : ? Type I (most common 70%) Autosomal dominant, with reduced quantity of vWF. Type II (25%) --> Autosomal dominant, with qualitative defect of vWF. Type III Autosomal recessive, with reduced quantitiy of vWF.